Dystrophic calcification are calcifications seen in
1. Skin layers
2. Salivary glands
3. Normal tissues
4. Dead tissue

Correct answer: 4. Dead tissue